The most common leukocytoclastic vasculitis affecting children is -
1. Takayasu disease
2. Mucocutaneous lymph node syndrome (Kawasaki disease)
3. Henoch Schonelin purpura
4. Polyarteritis nodosa

Correct answer: 3. Henoch Schonelin purpura